True about ammoglycoside is all except :
1. Are bactenostatic
2. Distributed only extracellularly
3. Excreted unchanged in urine
4. Teratogenic

Correct answer: 1. Are bactenostatic

Explanation: Are Bacteriostatic The aminoglycosides are bactericidal antibiotics They are more active at alkaline p11. They kill the bacteria by interfering with protein synthesis. They are used as sulfate salts which are highly water soluble solutions and are water soluble for months. They are highly ionized in solution. It is neither absorbed nor destroyed in the G.I.T. however absorption from the injection site is quick. They are distributed only extracellularly so the volume of distribution is nearly equal to the extracellular fluid volume. Plasmo protein binding is clinically insignificant. They do not prenetrate C.S.F. They are not metabolized, they are excreted unchanged in the urine. Glomerular filtration is the main route of excretion (tubular secretion and reabsorption are negligible). Accumulation of the drug occurs in condition with low G.F.R. e.g. elderly, neonates, C.R.F. Thus reduction in dose or increase in dose intervals is needed in such cases. Aminoglycosides have only partial cross resistance among them. All are active primarily against aerobic gram negative bacilli and do not inhibit anaerobes. They have relatively narrow margin of safety and all of them exihibit ototoxicity and nephrotoxicity. Aminoglycosides (streptomycin) should be avoided during pregnancy because it can causes fetal damage (teratogenic)